ASD is associated with all except
1. Infective endocarditis
2. Stroke
3. Arrhythemia
4. Pulmonary hypertension

Correct answer: 1. Infective endocarditis

Explanation: Complications of ASD include Pulmonary hypertension,atrial arrhythmias,heart failure. Atrial arrhythmia led to stroke, So ASD closure is recommended to prevent complication. Risk of endocarditis at the site of hemodynamically important low pressure lesion like ASD is minimal. Ref : Ghai essential of pediatrics ,eighth edition, P.no:414